Which of the following is not an indication for oxytocin -
1. Spontaneous premature labour
2. Post partum hemorrhage
3. Uterine inertia
4. Breast engorgment due to inefficient milk ejection reflex

Correct answer: 1. Spontaneous premature labour

Explanation: Ans. is 'a' i.e., Spontaneous premature labour Uses of oxytocin Induction of labour 3. Post partum haemorrhage 5. Oxytocin challenge test (for uteroplacental adequacy) Uterine inteia 4. Breast engorgment